Treatment for multiple sclerosis -
1. Interferon alpha
2. Interferon beta
3. Infliximab
4. Interferon gamma

Correct answer: 2. Interferon beta